In OCP, estrogen is used in
1. Ethinyl estradiol
2. Norethisterone
3. Ethynodiol diacetate
4. Allyloestranol

Correct answer: 1. Ethinyl estradiol

Explanation: A. i.e. (Ethinyl estradiol) (208 - Shaw 's Nth)COMBINED ORAL PILLS - usually contain a mixture of* Ethinyloestradiol or mestranol (20 to 30|ig)* Active progestogen - 19 morsteroid* Mala D contains -0.5 mg of D- norgestrel*** Mala N contains - 1 mg norethisterone** (Norgestrel 0.30 mg and Ethyl oestradiol 3.0 mg)* Treatment starts fifth day of the cycle for 21 days* A new course of tablets should be commonced 7 days after the cessation of the previous course* Fixed time of the day preferably after a meal* *Pregnancy rate with combined oralpill is 0.1 per 100 woman years* If she forgets to take a tablet, she should take 2 tablets the following day* The majority of failure with OCP are due to the failure to take the pills regularly* In a non lactating women OCP can be started after 6 weeks of delivery**. But can be given soon after an abortion, MTP or an ectopic pregnancy* H. mole, one should start on OCP only ofter serum beta hCG is negative* The progesterone of choice for emergency contraception is - Levonorgestrel**